At what age, does the birth length doubles:
1. 1 year
2. 2 years
3. 3 years
4. 4 years

Correct answer: 4. 4 years

Explanation: Ans. 4 years